Type of inheritance of Wilson desease is?
1. Autosomal dominant
2. Autosomal Recessive
3. X Linked dominant
4. X Linked recessive

Correct answer: 2. Autosomal Recessive

Explanation: Robbins basic pathology 6th edition. Chapter livewr. page no. 875. Wilsons disease is an autosomal recessive disorder. Due to accum ulation of toxic levels of copper in tissues and organs.